All of the following are true regarding Fordyce spots except ____:
1. Ectopic sebaceous glands
2. They are asymptomatic
3. Associated with hair follicles
4. Occur commonly on upper lip

Correct answer: 3. Associated with hair follicles

Explanation: Ans. C. Associated with hair folliclesFordyce spots are not associated with hair folliclesFordyce SpotsFordyce spots/Fordyce granules:* The Fordyce spots are heterotopic sebaceous glands wherein the duct is connected directly to the overlying skin or mucosal surface unlike other sebum glands which open into the follicle.* They are called ectopic/free-lying sebaceous glands.* They occur commonly on the vermilion border of upper lip(m/c), buccal mucosa, skin over penile shaft and areolar of the breast.* They are commonly multiple and appear asymmetrical discrete yellow papules.* Fordyce spots on penis are called Tyson glands.* They are asymptomatic.* Treatment ladder- First line: Reassurance- Second line# Local destruction with superficial cautery or electrodessication# Topical trichloroacetic acidFordyce spots on the vermilion border of both lips in A, upper lip in B, and buccal mucosa in C.